Taurine is synthesized from which amino acid?
1. Tryptophan
2. PhenylAlanine
3. Cysteine
4. Alanine

Correct answer: 3. Cysteine

Explanation: Taurine, a major constituent of bile is synthesized from cysteine